All are included in Alvarado score in appendicitis, except:
1. Migratory right iliac fossa pain
2. Leucopenia
3. Nausea
4. Elevated temperature

Correct answer: 2. Leucopenia

Explanation: ALVARADO SCORE: Migratory right iliac fossa pain 1 Anorexia 1 Nausea/ vomiting 1 RLQ tenderness 2 Rebound tenderness 1 Elevated temperature 1 Leukocytosis 2 Left shift 1 Total 10 Ref: Bailey and Love, 25th Edition, Page 1207